Most appropriate action of ubiquiting includes
1. Electron transport chain
2. Degradation of proteins
3. Synthesis of protein
4. Oxydative deamination

Correct answer: 2. Degradation of proteins

Explanation: Proteins are marked for degradation by the attachment of ubiquitin to the amino group of the side chain of a lysine residue. Additional ubiquitins are then added to form a multiubiquitin chain. Such polyubiquinatedproteins are recognized and degraded by a large, multisubunit protease complex, called the proteasome